The most common symptomatic Plica syndrome is
1. Medial plica
2. Suprapatellar plica
3. Lateral plica
4. Infrapatellar plica

Correct answer: 1. Medial plica

Explanation: Plica syndrome is a condition which occurs when a plica (an extension of the protective synovial capsule of the knee) becomes irritated, enlarged, or inflamed. The most common location of plica tissue is along the medial side of the knee